During puberty the height of boys increase by:
1. 3-5 cm
2. 5-10 cm
3. 10-20 cm
4. 20-30 cm

Correct answer: 4. 20-30 cm

Explanation: During puberty the height of boys increase by 20-30 cm Girls - 16-28 cm.